Causative organism of molluscum contagiosum is?
1. Papova virus
2. Pox virus
3. Orthomyxo virus
4. Parvo virus

Correct answer: 2. Pox virus

Explanation: B i.e Pox Virus